Congenital rubella syndrome is associated with
1. Cataract
2. Sensory neural hearing loss
3. Congenital heart disease
4. All of above

Correct answer: 4. All of above

Explanation: Congenital rubella syndrome (CRS)
Causes serious problem when infection occurs in the FIRST Trimester,
Classical triad


Sensory neural hearing loss
Eye abnormality Renopathy Cataract Microphthalmia
Congenital heart disease especially P